Joint between epiphysis and diaphysis of a long bone is a type of:
1. Plane Synovial joint
2. Fibrous joint
3. Symphysis
4. Synchondrosis

Correct answer: 4. Synchondrosis

Explanation: Epiphysio-diaphyseal joint is a primary cartilaginous joint – synchondrosis.
It is found in the growing bone, where the growth plate (hyaline cartilage) connects the epiphysis with the diaphysis, creating a hyaline cartilaginous joint.
At this site the fate of synchondrosis is synostosis (bony fusion) after the growth plate gets removed and replaced by the bone.